Apple-jelly nodules is/are seen in:
1. Lupus vulgaris
2. DLE
3. Lichen planus
4. Psoriasis

Correct answer: 1. Lupus vulgaris

Explanation: Ans: A (Lupus vulgaris) Apple jelly nodules:characterized by yellow-brown nodules with tiny darker granules. On probing, the noduies are soft jelly-like"- Neena Khanna 3rd/217Lupus Vulgaris Neena Khanna 3rd/217MorphologySingle (or few) lesions.Well demarcated, annular or arcuate plaques which slowly extend centrifugally. Periphery' shows erythematous to brownish, deep seated nodules which on diascopy9 may stand out as apple jelly nodules..Over period of time, the center becomes atrophic (paper thin), depigmented and scarred. Characteristically, new nodules may appear within area of scarringFeatures of Psoriasis are: Isomorphic phenomenon for Koebner's phenomenon), ring of Woronoff, (a hypopigmented halo surrounding plaque), silvery scales, positive grattage test, Auspitz sign, Munro's micro-abscesses etc- Neena Khanna 3rd/40-41Psoriasis Neena Khanna 3rd/38It is a chronic dermatosis characterized by an unpredictable course of remissions and relapses and presence at typical sites of papules and plaques which are:Well definedErythematous.Surmounted with large, silvery, loose scales.DLE Neena Khanna 3rd/ 186Characteristic lesion is a well demarcated coin shaped (discoid), annular, erythematous plaque with adherent scalesWhen the scale is removed, its undersurface show's keratotic spikes which have occupied the dilated pilosebaceous canals (carpet tack sign)Features of Licken planus are: Isomorphic phenomenon (or Koebner's phenomenon), Wickham's striae (surface has white streaks when viewed under a magnifying lens)- Neena Khanna 3rd/ 52